Which of the following is used to study protein-protein interaction?
1. Western blot
2. Affinity electrophoresis
3. Thin-layer chromatography
4. None

Correct answer: 2. Affinity electrophoresis

Explanation: Affinity electrophoresis is a general name for many analytical methods used in biochemistry and biotechnology. Both qualitative and quantitative information may be obtained through affinity electrophoresis. The methods include the so-called mobility shift electrophoresis, charge shift electrophoresis and affinity capillary electrophoresis. The methods are based on changes in the electrophoretic pattern of molecules (mainly macromolecules) through biospecific interaction or complex formation. The interaction or binding of a molecule, charged or uncharged, will normally change the electrophoretic properties of a molecule. Ref-D.M.Vasudevan 7/e p659,660